All of the following drugs can cause gynaecomastia except
1. Cimetidine
2. Spironolactone
3. Digoxin
4. Sulfonamides

Correct answer: 4. Sulfonamides

Explanation: Drugs causing gynacomastia S- Spironolactone I- Isoniazid D- Digoxin C- Cimetidine (and Ketoconazole) O- Oestrogens